True regarding Pictogram:
1. Areas are shaded with different colours
2. Used to show the trends of events with passage of time
3. A pictorial diagram of frequency distriution
4. Method to represent data to the 'man in the street'

Correct answer: 4. Method to represent data to the 'man in the street'

Explanation: Ans. D i.e. Method to represent data to the 'man in the street' Pictogram/Pictograph It is an ideogram that conveys its meaning through its pictorial resemblance to a physical object. Pictographs are often used in writing and graphic systems in which the characters are to a considerable extent pictorial in appearance.